Frey's syndrome is caused by:
1. Aberrant reinnervation of parasympathetic fibres of auriculotemporal nerve with sympathetic sweat glands
2. Aberrant reinnervation of parasympathetic fibres of auriculotemporal nerve with Greater superficial petrosal nerve
3. Abnormal cross innervation of Facial nerve with greater auricular nerve
4. Abnormal cross innervation of Facial nerve with auriculotemporal nerve

Correct answer: 1. Aberrant reinnervation of parasympathetic fibres of auriculotemporal nerve with sympathetic sweat glands

Explanation: Frey's syndrome is gustatory sweating i.e. when the patient eats, he has sweating over the cheek skin over the parotid. In section of auriculotemporal nerve during parotid surgery, the nerve aberrantly reconnects with the sympathetic sweat glands of the skin overlying the parotid.